3rd heart sound is d/t -
1. Closure of av valve
2. Closure of aortic valve
3. Mid diastolic flowr in the ventricle
4. Atrial contraction

Correct answer: 3. Mid diastolic flowr in the ventricle

Explanation: Ans. is 'c' i.e., Mid diastolic flow in the ventricle o Occasionally a weak, rumbling third heart sound is heard at the beginning of the middle third of diastole.o A logical but unproved explanation of this sound is oscillation of blood back and forth between the walls of the ventricles initiated by inrushing blood from the atria.o The reason the third heart sound does not occur until the middle third of diastole is believed to be that in the early part of diastole, the ventricles are not filled sufficiently to create even the small amount of elastic tension necessary for reverberation.o The frequency of this sound is usually so low that the ear cannot hear it, yet it can often be recorded in the phonocardiogram.Feature1st heart sound2nd heart sound3rd heart sound4th heart soundCharacterLow pitched (frequency) slightly prolonged "lub"Shorter high pitched "dup"Soft low pitched weak rumblingArterial heart soundDuration0.14 second0.11 sec.0.1 sec.-Frequency25-45 Hz50 Hz-<20HzQCauseSudden closure of mitral & tricuspid valvesClosure of aortic & pulmonary valvesRapid ventricular fillingQ d/t inthrusing of blood from atriaVentricular fillingQ d/tatrial contraction causing inthrushing of blood.TimingStart of ventricular systoleJust after end of ventricular systoleBegining of middle third of diastoleImmediately before 1st heart sound (presystolic)HeardS1 & S2can be heard with stethoscopeS1 & S4 can not be heard by stethoscope (ear)Q. So oftenly and S5 sometimes can be recorded in phonocardiorgam